On USG finding of cystic hygroma in fetus is suggestive of
1. Down's syndrome
2. Marphan's syndrome
3. Turner's syndrome
4. Klinfelter's syndrome

Correct answer: 3. Turner's syndrome

Explanation: C i.e. Turner's Syndrome